Muscle of third arch ?
1. Tensor tympani
2. Stylopharyngeus
3. Cricothyroid
4. None

Correct answer: 2. Stylopharyngeus

Explanation: Ans. is 'b' i.e., Stylopharyngeus Stylopharyngeus is the muscle of 3rd pharyngeal arch.